Chronic bronchitis can be a premalignant condition, which involves:
1. Columnar to squamous
2. Squamous to columnar
3. Squamous to cuboidal
4. Cuboidal to squamous

Correct answer: 1. Columnar to squamous

Explanation: Ans. (a) Columnar to squamous(Ref: Robbins 9th/pg 679)Chronic bronchitis is an example of squamous metaplasia in which normal columnar epithelium of respiratory tract is replaced by squamous epithelium;